ACE inhibitor induced cough is mediated bya) Bradykininb) Substance-P c) Prostaglandin d) Renin
1. ab
2. bc
3. acd
4. abc

Correct answer: 4. abc